In severe liver failure, Anaesthetic of choice is
1. Halothane
2. Isoflurane
3. Methoxyflurane
4. Enflurane

Correct answer: 2. Isoflurane

Explanation: (Isoflurane) (134-Lee's 13th) (373 - KDT 6th)ISOFLURANE - Repeated iso flurane administration have failed to produce measurable changes in liver function Renal and hepatic toxicity has not been encountered.* Anaesthetic choice in - Neurosurgery and safer in myocardial ischaemiaSEVOFLURANE - anaesthetic choice in Liver / Kidney diseases* It may trigger malignant hyperpyrexia in susceptible individuals* Well tolerated in both children and adults* Muscle relaxant of choice in hepatic & renal failure - cisatracurium**